A 45 Yr old woman presents with a hard and mobile lump in the breast. Next investigation is
1. FNAC
2. USG
3. Mammography
4. Excision biopsy

Correct answer: 3. Mammography

Explanation: First investigation : Mammography First investigation for tissue sampling : FNAC Best and diagnostic investigation : Biopsy Investigations in CA Breast Mammography - Initial investigation for symptomatic breast in women>35 years and for screening. Investigation of choice for microcalcification Ultrasound- Initial investigation for palpable lesions in women < 35 years. Not useful in screening MRI- Indicated in scarred breast, implants and borderline lesions for breast conservation. Investigation of choice for implant related complication. Gold standard for imaging breast in females with implants. PET scan- Investigation of choice for detecting recurrences in scarred breast. Useful multifocal disease and in helping detect axillary movement Ref:Sabiston 20th edition Pg no : 826- 827